The supraduodenal part of the bile duct lies in:
1. Falciform ligament
2. Free margin of lesser omentum
3. Inferior vena cava
4. First part of the duodenum

Correct answer: 2. Free margin of lesser omentum

Explanation: (Free margin of lesser omentum): Ref: 275-BDC-2, 268-Snell 7thBile-Duct - The bile duct (common bile duct) is about 3 in (8 cm) long in the first part of its course, it lies in the right free margin of the lesser omentum in front of the opening in the lesser sac.Bile duct relationsA. Supraduodenal part In the free margin of lesser omentum1. Anteriorly: Liver2. Posteriorly: Portal vein and epiploic foramen3. To the left: Hepatic arteryB. Retroduodenal part:1. Anteriorly: first part of duodenum2. posteriorly: IVC3. To the left: gastroduodenal arteryC. Infraduodenal part:1. Anteriorly: A groove in the upper and lateral parts of the posterior surface of the head of the pancreas2. Posteriorly: IVCD. Intraduodenal part